Preferred drug for the treatment of a 48 year old man with uncomplicated grade 2 hypertension without any associated co-morbidity is
1. Chlorthalidone
2. Triamterene
3. Spironolactone
4. Furosemide

Correct answer: 1. Chlorthalidone

Explanation: According to ACC Guidelines and JNC 8 Guidelines - DOC for hypertension is Thiazides (preferred diuretic). The other first line drugs for hypertension are- - ACE Inhibitors - Angiotensin receptor blockers - Calcium channel blockers Triamterene and Spironolactone are K+ Sparing Diuretics - mainly used along with other diuretics to prevent hypokalemia. Furosemide - is a loop diuretic - used for conditions like congestive heart failure.